The plasma half life of aspirin :
1. Is independent of dose
2. Is longer for anti–inflammatory doses compared to that for analgesic dose
3. Is shorter for anti–inflammatory doses compared to that for analgesic dose
4. Can be increased by alkalinizing the urine

Correct answer: 2. Is longer for anti–inflammatory doses compared to that for analgesic dose